Least common valve involved in rheumatic fever-
1. Aortic valve
2. Tricuspid valve
3. Mitral valve
4. Pulmonary valve

Correct answer: 4. Pulmonary valve

Explanation: Ans. is 'd' i.e., Pulmonary valve Endocarditis in rneumatic feverMitral valve involved almost all the cases of Acute Rheumatic Fever.Almost 25% of MR is asociated with aortic regargitation.Tricuspid regurgitation is seen in 10-30% cases.Pulmonary valve involvement is never seen.